Anterior cerebral artery occlusion can cause -
1. Urinary retention
2. Contralateral lower leg weakness
3. Hemianaeshsia of opposite side of face
4. Hemianopia

Correct answer: 2. Contralateral lower leg weakness